Marginal metal angle for cast inlay is:
1. 130-140 degree
2. 30-40 degree
3. 90-100 degree
4. Less than 30 degree

Correct answer: 2. 30-40 degree

Explanation: DIFFERENES  BETWEEN INLAY AND AMALGAM RESTORATIONS: